Autosplenectomy is seen in:
1. Hereditary spherocytosis
2. Sickle cell disease
3. Thalassaemia
4. Autoimmune anemia

Correct answer: 2. Sickle cell disease

Explanation: - In sickle cell anemia initially, congestive splenomegaly is seen. - Later, sickled RBC causes arterial occlusion - ischemic damage to spleen - resulting in Fibrosis of spleen / autosplenectomy.